A 30 year old female epileptic on phenytoin, developed weakness and fatigue. Blood examination revealed Hb = 4.6 gm. MCV = 102 fl and MCH = 40 pg/dl. What is the most probable diagnosis ?
1. Heart failure
2. Iron deficiency anaemia
3. Phenytoin induced agranulocytosis
4. Megalobalstic anaemia

Correct answer: 4. Megalobalstic anaemia

Explanation: Ans. is 'd' i.e., Megalablostic anaemia Raised MCV (normal 86-98) and MCH (normal 28-33) with low hemoglobin (normal 12-16) suggest the diagnosis of megaloblastic anemia. Remember Amongst antiepileptics, phenytoin, phenobarbitone and primidone can cause megaloblastic anemia.